The origin of the ovaries is from:
1. Genital ridge
2. Genital tubercle
3. Wolffian duct
4. Mullerian duct

Correct answer: 1. Genital ridge

Explanation: Genital ridge